Indication for tracheostomy are all, EXCEPT:
1. Flail chest
2. Head injury
3. Cardiac Tamponade
4. Foreign body

Correct answer: 3. Cardiac Tamponade

Explanation: Indications for tracheostomy are Flail chest, Head injury, Foreign body, Tetanus etc. Cardiac tamponade is not an indication for tracheostomy.